Drug that binds bile acids in the intestine and prevents their return to liver the enterohepatic circulation is-
1. Niacin
2. Fenofibrate
3. Cholestyramine
4. Gugulipid

Correct answer: 3. Cholestyramine

Explanation: Ans. is 'c' i.e., Cholestyramine "Chlestyramine is a bile acid sequesterant"